Umbilical arteries arise from which fetal vessels?
1. Aorta
2. Caro d arteries
3. Ductus arteriosus
4. Iliac arteries

Correct answer: 4. Iliac arteries

Explanation: The paired umbilical arteries arise from the iliac arteries. They supply unoxygenated fetal blood to the placenta.